Trousseaus sign is seen in -
1. Hypocalcemia
2. Hypercalcemia
3. Hypokalemia
4. Hyperkalemia

Correct answer: 1. Hypocalcemia

Explanation: Ans. is 'a' i.e., Hypocalcemia * Trousseau's sign: Carpal spasm induced by inflation of a blood pressure cuff to 20 mmHg above the patient's systolic blood pressure for 3 min - is seen in hypocalcemia.